Efficacy of a drug refers to:
1. Affinity of drug to bind to receptors
2. Affinity of drug that binds to receptors and activates it
3. Dose that requires to produce response
4. Maximum response a drug can produce

Correct answer: 4. Maximum response a drug can produce